The size of the Fenestra Vestibule on an average is-
1. 3.50 mm long and 2.50 mm wide
2. 3.25 mm long and 1.75 mm wide
3. 3.75 mm long and 1.50 mm wide
4. 4.00 mm long and 2.00 mm wide

Correct answer: 2. 3.25 mm long and 1.75 mm wide